Use of morphine should be avoided in all of the following patients EXCEPT?
1. Ischemic heart disease patients
2. Bronchial asthma patients
3. Elderly male patients
4. Biliary colic patients

Correct answer: 1. Ischemic heart disease patients

Explanation: Morphine is used for the treatment of myocardial infarction (ischemic heart disease) and LVF. Morphine is contra-indicated in extremes of age i.e., very young and elderly persons. It is also contra-indicated in bronchial asthma because it can cause respiratory depression and worsen the condition. By increasing intrabiliary pressure, morphine can worsen the pain of biliary colic.